Protein biosynthesis occurs in -
1. Cytoplasm
2. ER
3. Ribosomes
4. Mitochondria

Correct answer: 3. Ribosomes

Explanation: Ans. is 'c' i.e.. Ribosomes o Although both ribosomes & RER are involved tn synthesis of protein, the cellular component on which all intractions take place to synthesize the protein is ribosome.Proteins synthesized by polyribosomesCytosolic (free) PolyribosomesBound (rough ER) Polyribosomeso Cytosolic proteins, e.g., Hemoglobino Cytoskeletal proteinso Mitochondrial proteinso Nuclear proteinso Peroxisomal proteinso Synthesize all membrane proteinsy Mitochondrial membraney ER membraney Golgi apparatus membraney Plasma membraneo Secretory proteinso Lysosomal enzymes